Kovac's reagent is used in _____
1. Methyl red test
2. Voges-Proskauer test
3. Indole test
4. Urease test

Correct answer: 3. Indole test

Explanation: Kovac's reagent is used in Indole test Indole test is used to determine the ability of an organism to split amino acid tryptophan to form the compound indole. Indole production is detected by Kovac's or Ehrlich's reagent which contains 4 (p)-dimethylamino benzaldehyde, this reacts with indole to produce a red colored compound. negative indole test positive indole test